All of the following conditions are associated with Hyperthyroidism, except -
1. Hoshimoto's Thyroiditis
2. Grave's Disease
3. Toxic Multinodular Goiter
4. Struma ovary

Correct answer: 1. Hoshimoto's Thyroiditis